Everted edge seen in ulcer due to which of the following?
1. Tuberculosis
2. Epithelioma
3. Syphilis
4. Basal cell carcinoma

Correct answer: 2. Epithelioma

Explanation: Answer- B. Epitheliomacharacteristic shapes ofthe edges of ulcers.None-specific ulcer: note the shelving edge.Tubercubus ulcer: note the undermined edgeBasal cell carcinoma (rodent ulcer): note the rolled edge, which may exhibit small blood vessels.Epithelioma: note the heaped-up everted edge and irregular thickened base.Syphilis